23 year old lady sony develops brown macular lesions over bridge of nose and cheek following exposure to light. The probable diagnosis is
1. SLE
2. Acne Rosacea
3. Chloasma
4. Photodermatitis

Correct answer: 3. Chloasma

Explanation: C i.e. Chloasma